Total cerebral metabolic failure occurs at blood flow of
1. 10 m1/100 gm/min
2. 20 m1/100 gm/m1
3. 30 m1/100 gm/min
4. 40 m1/100 gm/ml

Correct answer: 1. 10 m1/100 gm/min

Explanation: A i.e. 10 ml/100 gm/min